Which of the following drugs is used as adjunct therapy for treatment of fungal corneal ulcer?
1. Atropine eye drops
2. Dexamethasone eye drops
3. Pilocarpine eye drops
4. Lidocaine

Correct answer: 1. Atropine eye drops

Explanation: Atropine eye drops are used to reduce pain from ciliary spasm and prevent formation of posterior synechiae.